Most common site of stapedial otosclerosis is
1. Round window
2. Cochlear capsule
3. Promontory
4. Fissula ante fenestram

Correct answer: 4. Fissula ante fenestram

Explanation: (D) Fissula ante fenestram # STAPEDIAL OTOSCLEROSIS. Stapedial otosclerosis causing stapes fixation & conductive deafness is the most common variety.> Lesion starts just in front of the oval window in an area called 'fissula ante fenestram'. This is the site predilection (anterior focus).> Lesion may start behind the oval window (posterior focus), around the margin of the stapes footplate (circumferential), in the footplate but annular ligament being free (biscuit type). Sometimes, it may completely obliterate the oval window niche (obliteralivetype)